Following are the side effects of apradonidine except-
1. Lid dermatitis
2. Follicular conjunctivitis
3. Eye lid retraction
4. Watering of mouth

Correct answer: 4. Watering of mouth

Explanation: Apraclonidine (0.5%, 1%). It is also alpha-2 adrenergic agonist like brimonidine. It is an extremelypotent ocular hypotensive drug and is commonly usedprophylactically for prevention of IOP elevationfollowing laser trabeculoplasty, YAG laser iridotomyand posterior capsulotomy. It is of limited use forlong-term administration because of the high rate ofocular side-effects. Ref comprehensive ophthalamology AK Khurana 4th edition page no:425